Centric relation is between
1. Maxilla to cranium
2. Mandible to cranium
3. Mandible to condyle
4. Tooth to tooth

Correct answer: 2. Mandible to cranium